Fracture supracondylar fracture is usually caused by :
1. Hyper flexion injury
2. Axial rotation
3. Extension injury
4. Hyper extension injury

Correct answer: 4. Hyper extension injury

Explanation: D i.e. Hyper extension injury